A full course of immunization against, Tetanus with 3 doses to Tetanus toxoid, confers immunity for how many years?
1. 5
2. 10
3. 15
4. 20

Correct answer: 2. 10